The health promotional phase in public health is between
the years:
1. 1880-1920
2. 1920-1960
3. 1960-1980
4. 1981-2K

Correct answer: 2. 1920-1960

Explanation: Disease control phase: 1880 - 1920
Health promotional phase: 1920 - 1960
Social engineering phase: 1960 - 1980
Health for all phase: 1981-2000

Essentials of preventive and community dentistry 
Soben Peter 
5th edition